In Intrapartum Fetal Monitoring of women with pregnancies at risk, fetal heart auscultation is performed at least every --- minutes during first-stage labor and every --- minutes during the second stage
1. 60min and 30min
2. 30min and 15min
3. 15min and 5min
4. 5min and 1min

Correct answer: 3. 15min and 5min

Explanation: Intrapartum fetal monitoring:Briefly, the American Academy of Pediatrics and American College of Obstetricians and Gynecologists (2012) recommend that during first-stage labor, in the absence of any abnormalities, the fetal heart rate should be checked immediately after a contraction at least every 30 minutes and then every 15 minutes during the second stage. If continuous electronic monitoring is used, the tracing is evaluated at least every 30 minutes during the first stage and at least every 15 minutes during second-stage labor. For women with pregnancies at risk, fetal heart auscultation is performed at least every 15 minutes during first-stage labor and every 5 minutes during the second stage. Continuous electronic monitoring may be used with evaluation of the tracing every 15 minutes during the first stage of labor, and every 5 minutes during the second stage.(Ref: William's Obstetrics; 25th edition)